Which of the following will you like to give to a pregnant patient to decrease the risk of neural tube defects in the offspring, if your patient is receiving antiepileptic drugs?
1. Folic acid
2. Vitamin A
3. Vitamin E
4. Pyridoxine

Correct answer: 1. Folic acid

Explanation: Folic acid is administered to prevent the development of neural tube defects in the baby. Risk of neural tube defects is increased with the use of most anti-epileptic drugs including valproic acid in pregnancy.